Shortening of 2 mm of axial length of eye ball causes-
1. 3D myopia
2. 6D myopia
3. 3D hypermetropia
4. 6D hypermetropia

Correct answer: 4. 6D hypermetropia

Explanation: Axial hypermetropia is by far the commonest form. In this condition the total refractive powerof eye is normal but there is an axial shortening of eyeball. About 1-mm shortening of the anteroposterior diameter of the eye results in 3 dioptres of hypermetropia. So shortening of eyeball about 2mm results in 6D hypermetropia Reference : A K KHURANA OPHTALMOLOGY,Edition 4, page-29